C.V.P. (Central Venous Pressure) and pulmonary wedge pressure give an accurate assessment of all the following except -
1. Tissue perfusion
2. Volume depletion
3. Volume overload
4. Myocardial function

Correct answer: 1. Tissue perfusion